In tuberculous synovitis of the hip joint the position of the hip is
1. Flexion adduction and internal rotation
2. Flexion abduction and external rotation
3. Extension only
4. Extension adduction and internal rotation

Correct answer: 2. Flexion abduction and external rotation